Muscles are not involved in which glycogen storage disease-
1. Type III
2. Type I
3. Type IV
4. Type II

Correct answer: 2. Type I

Explanation: - Muscle Glycogen Storage Diseases-TypeNameEnzyme DefectIIPompe's diseaseLysosomal a1, 4 & a1, 6 glucosidaseVMcArdle's diseaseMuscle phosphorylaseVII Muscle and erythrocyte phosphofructokinase 1